Acute Primary Amoebic meningoencephalitis true is?
1. Meningitis caused by acanthamoeba species is acute in nature
2. Diagnosis is by demonstration of trophozoite in CSF
3. Caused by feco-oral transmission
4. More common in tropical climate

Correct answer: 2. Diagnosis is by demonstration of trophozoite in CSF

Explanation: Ans. is 'b' i.e., Diagnosis is by demonstration of trophozoite in CSF Diagnosis of acute primary amoebic meningoencephalitis is estabilished by microscopic examination of the cerebrospinal fluid which contains trophozoite and red cells but no bacteria. About other options . Acanthamoeba causes chronic meningoencephalitis, while Naegleria fowleri is responsible for acute cases of meningoencephalitis. . The cases are seen in children who swim or dive in warm, soil contaminated pools (in temperate regions e.g. in Europe and N. America). . The amoebas enter the nose and the cribriform plate of the ethmoid passing directly into the brain tissue where they form nests of amoebas that cause extensive hemorrhage and damage, chiefly in the basilar portion of the cerebrum and cerebellum.